The combined estrogen-progestin oral contraceptive pill act mainly by:
1. Production of cervical mucus hostile to sperm penetration
2. Making endometrium unsuitable for implantation
3. Suppression of FSH and LH release
4. Enhancing uterine contraction to dislodge the fertilized ovum

Correct answer: 3. Suppression of FSH and LH release

Explanation: Oral Contraceptives: OCP Mechanism Combined OCP(E + P) Inhibition of ovulation Progesterone Cervical mucus thick and hostile Emergency/Post coital/Morning after pills Dislodging of implantation